Salivary gland stone most commonly involves
1. Submandibular gland
2. Parotid gland
3. Sub lingual glands
4. Lingual glands

Correct answer: 1. Submandibular gland